EMLA is a mixture of lidocaine and:
1. Articaine
2. Prilocaine
3. Bupivacaine
4. None of the above

Correct answer: 2. Prilocaine

Explanation: A variety of topical local anesthetic formulations have been developed to penetrate intact skin. EMLA, which is a eutectic mixture of 2.5% lidocaine base and 2.5% prilocaine base, is widely used for venipuncture, intravenous cannulation, skin grafting, and a range of other uses, including circumcision Ref: Miller's anesthesia-7th ed, Chapter 30.